The most common fractured bone in the face of the following is?
1. Nasal
2. Malar
3. Zygoma
4. Temporal

Correct answer: 1. Nasal

Explanation: Fractures of nasal bones are the most common because of the projection of the nose on the face. (Ref: Diseases of ENT, PL Dhingra, 7th edition, pg no. 203)